Which is not an extrapyramidal tract ?
1. Reticulospinal tract
2. Rubrospinal tract
3. Corticospinal tract
4. Tectospinal tract

Correct answer: 3. Corticospinal tract

Explanation: Ans. is 'c' i.e., Corticospinal tract